A mother presents to the neonatology OPD with her baby because of yellow extremities. On examination, there is petechial rash over the body, hepatosplenomagaly, microcephaly. What is the causative organism?
1. CMV
2. Rubella
3. HSV
4. Varicella

Correct answer: 1. CMV

Explanation: Features of congenital CMV infection are: petechial rash, jaundice, hepatosplenomegaly, microcephaly, periventricular calcification, deafness, chorioretinitis,IUGR. congenital rubella syndrome: triad of cardiac defects, cataract and conductive hearing loss neonatal herpes presents as skin lesions with eye involvement, encephalitis, disseminated disease. fetal varicella syndrome: cicatrizing/ scarring skin lesions, chorioretenitis, hypoplastic limbs, LBW, CNS defects- due to cerebral atrophy. Reference: Ananthanarayan and Paniker's Textbook of Microbiology Tenth edition